In a fetus, the insulin secretion begins by:
1. 3rd month
2. 5th month
3. 7th month
4. 9th month

Correct answer: 1. 3rd month

Explanation: Ans. A. 3rd montha. Foetal pancreas secrets insulin from as early as 12th week onward.b. Maternal IgG can cross placenta from 12th week on word.c. Rh factor in fetal blood can be demonstrated as early as 38th day after conception.d. Meconium appears from 20th week of Gestation.e. Foetal pituitary secretes GH, ACTH, PRL, GNRH, by 10th - 11th week.